Pain during injection occurs with all Except
1. Propofol
2. Thiopentone
3. Ketamine
4. Etomidate

Correct answer: 3. Ketamine

Explanation: Ketamine is the only intravenous inducing agent that does not cause pain on injectionAgentPain on iv injectionThiopentoneMethohexitonePropofolEtomidateKetamine+/0++++++0